Chyme is propulsed forward in small intestine by
1. Segmentation
2. Hustrations
3. Migratory motor complex
4. Peristalsis

Correct answer: 4. Peristalsis